Anterior maxillary occlusal projection shows all of the following except:
1. Anterior maxilla
2. Teeth from 1st premolar to 1st premolar
3. Teeth from canine to canine
4. Anterior floor of the nasal fossa

Correct answer: 2. Teeth from 1st premolar to 1st premolar

Explanation: In anterior maxillary occlusal projection, the central ray is oriented through the tip of nose toward the middle of film with approximately +45 degrees vertical angulation and 0 degrees horizontal angulation.
The primary field of this projection includes the anterior maxilla and its dentition, as well as the anterior floor of the nasal fossa and teeth from canine to canine.